Tetracycline ointment for mass prophylaxis –
1. 0.10%
2. 0.50%
3. 1%
4. 5%

Correct answer: 3. 1%

Explanation: In blanket antibiotic therapy, the regimen is to apply 1% tetracycline eye ointment twice daily for 5 days in a month for 6 months.